A patient comes with carcinoma cervix who has completed radiotherapy comes with uraemia. The most common cause is :
1. Bilateral ureter invasion
2. Radiation nephritis
3. Ureteric stenosis due to radiation
4. Unconnected causes

Correct answer: 1. Bilateral ureter invasion

Explanation: Bilateral ureter invasion